Fibrous cartilage is located in all of  the following structures except
1. Intervertebral discs
2. TMJ
3. Pubic symphysis
4. None of the above is exception

Correct answer: 4. None of the above is exception

Explanation: Fibrous cartilage which is considered as the strongest cartilage is found in 

Intervertebral discs 
TMJ
Pubic symphysis